A 45 yr old woman has increasing abdominal girth for the past 2 years. On physical examination, She has abdominal distension. CT scan shows multiple nodules on peritoneal surfaces along with low attenuation mucinous ascites. Cytological examination was done after doing paracentesis. It showed well differentiated columnar cells with minimal nuclear atypia. From which sit did this pathology start?
1. Pancreas
2. Ileum
3. Jejunum
4. Appendix

Correct answer: 4. Appendix

Explanation: Pseudomyxoma pertonei is being described. It may arise from low grade mucinous adenocarcinoma of the appendix.
Mucinous tumors may also arise in pancreas, but are less likely to disseminate through peritoneal cavity. These tumors are very rare in small intestine. Mucin producing malignancies of the stomach are most likely to have signet ring pattern and diffusely infillrate gastric wall.